EB virus causes all the following except:
1. Hodgkin’s lymphoma
2. Kaposi’s sarcoma
3. Nasopharyngeal CA
4. Burkitt’s lymphoma

Correct answer: 2. Kaposi’s sarcoma

Explanation: §Kaposi’s sarcomais associated with HIV.
It is best known as the cause of infectious mononucleosis(glandular fever). It is also associated with particular forms of cancer, such as Hodgkin's lymphoma, Burkitt's lymphoma, nasopharyngeal carcinoma, and conditions associated with human immunodeficiency virus(HIV), such as hairy leukoplakiaand central nervous systemlymphomas.
There is evidence that infection with the virus is associated with a higher risk of certain autoimmune diseases,especially dermatomyositis, systemic lupus erythematosus, rheumatoid arthritis, Sjögren's syndrome, and multiple sclerosis